Which out of the following which of the following is not a cognitive dysfunction?
1. Thought block
2. Catastrophization
3. Selective abstraction
4. Overgeneralization

Correct answer: 1. Thought block

Explanation: Ans. A. Thought blockThought block is a disorder of possession of thought found is schizophrenia. In this person thoughts are suddenly blocked, and person totally loses what he was thinking. Cognitive-behavior therapy is designed to cognitions and behavior directly. These are based on correcting the faulty beliefs and ideas. Most cognitive therapies focus on two kinds of disturbed thinking: intrusive thoughts (automatic thoughts) and dysfunctional beliefs and attitudes (dysfunctional assumptions. Three factors maintain dysfunctional beliefs and attitudes.* First, patients attend selectively to evidence that confirms these believes and attitudes and ignore and discounts the evidence which ignore them.* Second, people think illogically and have cognitive dysfunctions e.g. Over generalization: patients draw general conclusion from single instances. Selective abstraction: patients focus on a single unfavorable aspect of situation but ignore favorable aspects. Personalization: patients blame themselves for the consequences of the actions of other people. Minimization, over generalization & catastrophization. In which the client minimizes his strengths and minimize every achievement of him and would over generalize the failure to various spheres of life.And would give the catastrophic meaning to even minor mishappening in life. E.g. Even if he misses a Bus, he would say it is end of the day or god know what else bad is waiting for me today I miss my one bus today, (which ideally is not such a problem if next bus is about to come in next 10 minutes).